In neonate with meningitis, gram positive cocci, CAMP test positive most common source of infection is _________
1. Genital tract
2. Respiratory tract
3. Hematogenous
4. May be any

Correct answer: 1. Genital tract

Explanation: The causative organism in this case is Streptococcus agalactiae ( Group B Streptococcus )- CAMP test positive. The most common source of infection is maternal genital tract. The neonate acquires the microorganism as it passes through the colonized birth canal at delivery. Reference: GHAI Essential pediatrics, 8th edition